A mother brought her six years old child to Eye OPD with history of night blindness. She told that the baby suffered from measles 6 months ago. Examination revealed corneal scarring. The doctor should suspect deficiency of
1. Vitamin A
2. Vitamin D
3. Vitamin C
4. Vitamin B

Correct answer: 1. Vitamin A